The oral lesion called mucous patches is usually multiple, grayish white plaque associated with
1. Pain
2. No pain
3. Itching
4. Burning sensation

Correct answer: 2. No pain